Michaelis Guttmannn bodies are present in
1. Analgesic nephropathy
2. Him and ulcer
3. Malacoplakia
4. Erythroplasia

Correct answer: 3. Malacoplakia

Explanation: Ref Robbins 9/e p693 Michaelis-Gutmann bodies are concentrically layered basophilic inclusions found in the urinary tract. They are 2 to 10 mm in diameter, and are thought to represent remnants of phagosomes mineralized by iron and calcium deposits.